The pathogenesis hypochromic anemia in lead poisoning is due to -
1. Inhibition of enzymes involved in heme biosynthesis
2. Binding of lead to transferrin, inhibiting the transport of iron
3. Binding of lead to cell membrane of erythroid precursors
4. Binding of lead to ferritin inhibiting their breakdown into hemosiderin

Correct answer: 1. Inhibition of enzymes involved in heme biosynthesis

Explanation: Ans. is 'a' i.e., Inhibiton of enzymes involved in Heme biosynthesis o Lead interferes with the syntheiss of Heme by inhibiting the enzymes d Aminolevulinic acid dehydrase and Ferrochelatase. These two enzymes are involved in the synthesis of Heme.